Great vein of Galen is formed by
1. Two internal cerebral veins
2. Superficial middle cerebral vein & deep middle cerebral vein
3. Anterior cerebral vein & basal vein
4. Internal cerebral veins & straight sinus

Correct answer: 1. Two internal cerebral veins

Explanation: (A) Two internal cerebral veins # GALEN'S VEINS: The internal cerebral veins; the great vein of Galen is formed by their union.> Anterior cerebral vein also known as Galen's vein.> Great cerebral vein or Great vein of Galen is formed by union of two internal cerebral veins. It terminates in the straight sinus.